Sensitivity of a screening test measures
1. True positive
2. False positive
3. True Negative
4. False Negative

Correct answer: 1. True positive